Triage means -
1. Sorting out of cases on availability of medical resources and seventy of patients condition
2. Patients are divided into 3 groups
3. Severely injured patients are attended first in military camps
4. None of the above

Correct answer: 1. Sorting out of cases on availability of medical resources and seventy of patients condition

Explanation: Triage is the name of the system that is used to sort when and where patients will be seen in an emergency department. The triage system exists because, while all patients at emergency departments may be experiencing serious illness or injury, those with life-threatening and severe conditions must be treated first. Ref Davidson 23rd edition pg 1337